Leprosy is considered a public health problem if the prevalence of leprosy is more than
1. 2 per 10,000
2. 1 per 10,000
3. 5 per 10,000
4. 10 per 10,000

Correct answer: 2. 1 per 10,000